The malignancy which is a close mimicker of achalasia is:
1. Carcinoma of the gastric fundus
2. Middle esophagus carcinoma
3. Carcinoma larynx
4. Thyroid malignancy

Correct answer: 1. Carcinoma of the gastric fundus

Explanation: The differential diagnosis of achalasia are DES Chagas' disease Pseudoachalasia Chagas' disease is spread by the bite of the reduvid (kissing) bug that transmits the protozoan, Trypanosoma cruzi. Tumor infiltration, most commonly seen with carcinoma in the gastric fundus or distal esophagus can mimic idiopathic achalasia and known as"pseudoachalasia". Nearly 5 % cases of suspected achalasia are pseudoachalasia. Ref: Harrison, Edition-18, Page-2431